Regarding raised intracranial tension in adults, true is -
1. Sutural diastasis
2. No Papilloedema
3. May present with vomiting, headache and blurred vision
4. No systemic symptom

Correct answer: 3. May present with vomiting, headache and blurred vision